On otological examination all of the following with have positive fistula test except -
1. Dead ear
2. Labyrinthine fistula
3. Hypermobile stapes footplate
4. Following fenestration surgery

Correct answer: 1. Dead ear